Antidiabetic Safe in liver and renal failure
1. Linagliptin
2. Insulin
3. None
4. Both

Correct answer: 4. Both

Explanation: Linagliptin (oral)-DPP4 inhibitor and insulin(SC) are safe in renal and liver failure. Ref: Katzung 12th ed.